Acanthosis nigricans histological show –
1. Papillomatosis
2. Marked acanthosis
3. Hypermelanosis
4. All of the above

Correct answer: 1. Papillomatosis

Explanation: Histopathologically papillomatosis is characteristically seen in acanthosis nigricans. However, there is no hypermelanosis and there is only mild acanthosis if present.